Most common site of lentigo maligna melanoma is:
1. Face
2. Legs
3. Trunks
4. Soles

Correct answer: 1. Face

Explanation: "Lentigo maligna melanoma is usually confined to chronically sun-damaged, sun-exposed sites (face, neck, back of hands) in older individuals." Harrison
Most common site of melanoma

of melanoma in females → lower extremity (knee to ankle) 
of melanoma in males → Trunk & back
of lentigo maligna melanoma → Face, neck
of acral lentiginous melanoma → Palms, soles, subungual region